Lactic acidosis is common with:
1. Metformin
2. Phenformin
3. Repaglinide
4. Rosiglitazone

Correct answer: 2. Phenformin

Explanation: Small increase in blood lactate occurs with metformin but lactic acidosis is rare because it is poorly concentrated in hepatic cells. phenformin has been withdrawn from the market due to risk of lactic acidosis (REF.Essential of medical pharmacology K D TRIPATHI 6 Edition, Page No - 269)